Function of microglia in CNS
1. Phagocytosis
2. Myelin synthesis
3. Fibrosis
4. All of the above

Correct answer: 1. Phagocytosis

Explanation: Microglia in CNS has phagocytic activity.